Chromium is added to stainless steel as it provides
1. Sensitisation
2. Corrosion resistance
3. Stabilisation
4. Hardening

Correct answer: 2. Corrosion resistance